Commonest lesion in middle mediastinum is
1. Lipoma
2. Aneurysm
3. Congenital cyst
4. Germ cell tumour

Correct answer: 3. Congenital cyst